Most common organism causing meningitis in a 1 year old child -
1. Streptococcus pneumoniae
2. H. influenza
3. Listeria
4. Neisseria meningitidis

Correct answer: 1. Streptococcus pneumoniae

Explanation: Ans. is 'a' i.e., Streptococcus pneumoniae